Ketamine is contraindicated in all except-
1. Congestive heart failure
2. Uncontrolled hypertension
3. Arterial aneurysm
4. Shock.

Correct answer: 4. Shock.

Explanation: In contrast to other anesthetics, ketamine increases arterial blood pressure, heart rate and cardiac output. This is because it is sympathomimetic. Accompanying there changes true is increase in pulmonary artery pressure and myocardial work. Thus should be avoided in - Coronary artery disease Uncontrolled hypertension Congestive heart failure Arterial aneurysm On the other hand good in patients with acute shock.